Which of the following is the most common astrocytoma in children?
1. Grade 1 astrocytoma
2. Grade 2 astrocytoma
3. Grade 3 astrocytoma
4. Grade 4 astrocytoma

Correct answer: 1. Grade 1 astrocytoma

Explanation: Pilocytic astrocytoma (Grade 1) is the most common astrocytoma in children.